Definitive treatment of choice for Transposition of great vessels (TGA) is
1. Atrial switch
2. Arterial switch
3. Atrial septostomy
4. Medical management

Correct answer: 2. Arterial switch

Explanation: The arterial switch operation is now established as the treatment of choice for TGA and most centers endeavour to offer this procedure for all infants with TGA. In this operation, the pulmonary artery and aorta are transected. The distal aorta is anastomosed to the proximal pulmonary stump (neo-aortic root) and the pulmonary artery to the proximal aortic stump (neopulmonary artery). The coronary arteries are moved along to the neo-aortic root along with a cuff of aortic tissue to allow suturing without compromise of coronary blood flow. There is a limited window of time for performing the arterial switch for TGA. Infants with TGA and intact septum should ideally undergo this procedure within the first 2-4 weeks of life. As pulmonary vascular resistance falls after birth the left ventricle regresses rapidly. In 1-2 months the left ventricle has the ability to adjust to the elevated systemic vascular resistance after the arterial switch through hyperplasia of the available muscle. After this, it is difficult for the left ventricle to adapt to an arterial switch. Later in infancy, the atrial switch operation (Senning operation) is the only option for TGA with intact ventricular septum. This is not an ideal long-term option because the right ventricle remains as the systemic ventricle for life. Over time, right ventricle dysfunction and severe tricuspid regurgitation sets in. Additionally, extensive restructuring of atria predisposes to atrial rhythm disturbances. Reference: Essential Paediatrics; O.P. Ghai; Page no: 426